Physiological response to smoking, are all, except
1. Decreased HDL
2. Increased hematocrit
3. Increased heart rate and increased catecholamine release
4. Decreased carboxyhemoglobin

Correct answer: 4. Decreased carboxyhemoglobin

Explanation: Carboxyhemoglobin increases in smokers Ref: guyton and hall textbook of medical physiology 12 edition page number:353,354,355